Which artery is responsible for epistaxis after ligating of external carotid artery?
1. Ethmoidal artery
2. Greater palatine artery
3. Superior labial artery
4. Ascending pharyngeal

Correct answer: 1. Ethmoidal artery

Explanation: Answer: (A) Ethmoidal arteryREF: Dhingra 4th ed p. 140Both anterior and posterior ethmoidal arteries are branches from internal carotid artery not external carotid artery